A 40 year old male with diabetes mellitus presents with vitreous haemorrhage. What is the most important cause for it?
1. Posterior vitreous detachment
2. Neovascularisation of disc
3. Central retinal vein occlusion
4. Trauma to central retinal artery

Correct answer: 2. Neovascularisation of disc

Explanation: Most common cause of vitreous hemorrhage in diabetic patients is proliferative diabetic retinopathy. In proliferative diabetic retinopathy new vessels arise on the disc or anywhere on retina. These new vessels are friable and tends to break easily leading to vitreous hemorrhage. Most common cause of vitreous hemorrhage in non diabetic patients are posterior vitreous detachment, retinal tear and retinal detachment.